What does the CTG depicts-
1. Fetal Heart rate monitoring
2. Growth monitoring
3. Size monitoring
4. Amniotic index monitoring

Correct answer: 1. Fetal Heart rate monitoring

Explanation: Ans. is 'a' i.e., Foetal heart rate monitoring o Cardiotocography or CTG is a test usually done in the third trimester of pregnancy.o It is done to see if your baby's heart beats at a normal rate and variabilityo Normally, a baby's heart rate is anywhere between 110 and 160 beats per minute and increases when the baby moves.o Checking that your baby's heart rate responds to his movements is an indirect way of knowing if he gets enough oxygen from the placenta.o The test will also see how baby's heart rate is affected by your contraction.o A CTG done in your third trimester is also known as a 'non stress testr because your baby is not under the 'stress' of labour:o Early deceleration - Head compressiono Late deceleration - Utero placental insufficiencyo Variable deceleration - umblical cord compression